In complicated cataract opacity develops in -
1. Anterior capsule
2. Nucleus
3. Posterior subcapsular
4. Cortical

Correct answer: 3. Posterior subcapsular

Explanation: Posterior cortical complicated cataract -Posterior subcapsular. Anterior cortical complicated cataract -Anterior subcapsular. Ref: Kanski's Clinical Ophthalmology 8th/e Ch.9 p.273.